A 30 year old male bhuvan,fish handler by profession came to OPD with multiple skin nodules and discharging sinuses over the right hand as show below.Which of the following organism can likely cause this condition?
1. Mycobacterium.burudi
2. Parapox virus
3. Mycobacterium marinum
4. Actinomyces israeli

Correct answer: 3. Mycobacterium marinum

Explanation: The nodules and discharging sinuses along the lymphatics are typically sporotrichoid in appearance.The history reveals he is a fish handler which suggests the diagnosis of "fish tank granuloma or swimming pool granuloma" caused by Mycobacteria.marinum commonly seen in fish tank handlers and swimmers.